Wickehm's stria seen in -
1. Lichen niditus
2. Lichenoid eruption
3. Lichen striates
4. Lichen planus

Correct answer: 4. Lichen planus

Explanation: D i.e. Lichen Planus